The diagnostic triad of exophthalmos, diabetes insipidus and bone lesions is characteristic of
1. Fibrous dysplasia
2. Letterer-Sieve disease
3. Osteoporosis
4. Hand-Schuller Christian disease

Correct answer: 4. Hand-Schuller Christian disease

Explanation: Hand-Schuller-Christian disease: It is a chronic disseminated form of histiocytosis involving both soft tissues and bones in older children of either sex. It is characterised by a triad of proptosis, diabetes insipidus and bony defects in the skull. Ref:- A K KHURANA; pg num:-397